Which of the following can participate in gluconeogenesis?
1. Acetyl coA
2. Propionyl coA
3. Muscle glycogen
4. All of the above

Correct answer: 2. Propionyl coA

Explanation: Propionyl coA
        ↓
Succinyl coA
        ↓
Fumarate
        ↓ 
   Malate
        ↓
Oxaloacetate →Gluconeogenesis
Note : Acetyl coA which is released from even chain fatty acids can't participate in gluconeogenesis. Muscles lack glucose-6-phosphatase and hence can't.